Spontaneous absorption of lenticular material and bilateral; micropthalmos is seen in:
1. Myotonic dystrophy
2. Hallermann Streiff syndrome
3. Aniridia
4. Persistent hyperplastic primary vitreous

Correct answer: 2. Hallermann Streiff syndrome

Explanation: Hallermann Streiff syndrome